A 42–year–old man comes to the emergency department because of sudden-onset diarrhea and nausea directly following a fish barbeque at the beach. The next day, he cannot lift his left hand. Examination shows a wrist drop in the left hand. His pulse is 56/mm. However, his pupils are normal and there is no difficulty in eating. 

Which of the following is the treatment for this condition?
1. Antihistamines
2. Conservative only
3. Gastric lavage
4. Suitable antibiotics

Correct answer: 2. Conservative only